All of the following statements relating to lung carcinoma and occupation are true except –
1. Risk is increased
2. Takes long time to develop
3. It takes less time to develop as compare to general population.
4. It takes more time develop as compare to general population

Correct answer: 4. It takes more time develop as compare to general population

Explanation: The characteristics of occupational cancer are :

They appear after prolonged exposure (the period being as long as 10-25 years)
The disease may appear even after cessation of exposure.
The disease may develop even after cessation of exposure
The average age incidence is earlier than that of cancer in general.
The localization of tumor is remarkably constant in any one occupation.